The number of laticiferous ducts that open into the nipple is
1. 0-5
2. 15-20
3. 35-50
4. 50-75

Correct answer: 2. 15-20

Explanation: Breast is a compound tubulo-alveolar gland which secretes milk. The gland consists of 15 to 20 lobes. Each lobe is a cluster of alveoli, and is drained by a lactiferous duct. The lactiferous ducts converge towards the nipple and open on it. Near its termination each duct has a dilatation called a lactiferous sinus. Ref - BDC Vol1 6th edition pg 34